Nipah virus is associated with epidemics of:
1. Hepatitis
2. Encephalitis
3. Pneumonia
4. All of the above

Correct answer: 2. Encephalitis

Explanation: Nipah virus is a zoonotic virus that causes outbreaks of fatal encephalitis. Outbreak occurred in West Bengal in 2001 Ref: National Health Programmes in India, J.Kishore, 10th edition pg: 391